Ultra filtrate passes through all filtration barrier except
1. Endothelial fenestra
2. Basement membrane
3. Fenestra in podocytes
4. Filtration slit between podocytes

Correct answer: 3. Fenestra in podocytes

Explanation: ULTRA FILTRATION: - Ultra filtration occurs at the barrier between the blood and the filtrate in the glomerular capsule (Bowman's capsule) in the kidneys. The highhydrostaticpressure forces small molecules in thetubular fluidsuch aswater,glucose,amino acids,sodium chlorideandureathrough the filter, from the blood in the glomerular capsule across the basement membrane of the Bowman's capsule and into therenal tubules. This process is called ultrafiltration; The resulting fluid, virtually free of large proteins and blood cells, is referred to as glomerular filtrate, or ultrafiltrate. Further modification of ultrafiltrate, by reabsorption and secretion, transforms it into urine. It can pass through the larger fenestrate it cant pass through the filtrate slit diaphragm between the podocytes.